Not true about auricular hematoma
1. All case should receive antibiotic
2. Commonly seen in rugby player
3. Resolve spontaneously
4. All

Correct answer: 3. Resolve spontaneously

Explanation: Hematoma of auricle M/c seen in boxers, wrestlers and rugby players Accumalation of blood in subperichondrial space, secondary to blunt trauma lifting the perichondrium away from cartilage As cartilage lacks its own blood supply and relies on the vascularity of the perichondrium It leads to necrosis of cartilage and predisposing to infection New cartilage may then form at the pericondrium creating a rather thick deformed, unattractive ear called as cauliflower ear Treatment is aspiration of hematoma under aseptic condition and carefully packing the auricle All cases should receive prophylactic antibiotics